The most common cause of chronic bronchitis is:
1. Air pollution
2. Septic fibrosis
3. Smoking
4. Recurrent aspiration pneumonia

Correct answer: 3. Smoking